Pringle's Maneuver is used to stop the bleeding from
1. Liver
2. Spleen
3. Kidneys
4. Flail chest

Correct answer: 1. Liver

Explanation: Pringle maneuver is soft clamping hepatic artery and portal
vein at the point of entry. It is done for liver trauma patients.